Which is not a component of APGAR Score –
1. Colour of the body
2. Muscle tone
3. Heart rate/minutes
4. Respiratory rate per minute

Correct answer: 4. Respiratory rate per minute